Drug of choice for juvenile myoclonic epilepsy?
1. Lamotrigine
2. Valproate
3. Leviteracetam
4. Perampanel

Correct answer: 2. Valproate

Explanation: Valproic acid is the drug of choice for absence seizures, myoclonic epilepsy, LG syndrome and infantile spasms. For women of child bearing age lamotrigine and levitriacetam can be a 2nd line drug. Ref: HL Sharma 3rd ed.Pg: 534